Osmolarity of ReSoMal –
1. 200
2. 300
3. 311
4. 350

Correct answer: 2. 300

Explanation: ReSoMal (Rehvdration Solution for Severely Malnourished Child) 

This represents the oral rehydration fluid recommended by WHO for severely undernourished children.
These children are deficient in potassium and have relatively high levels of sodium.
ReSoMal solution is therefore specifically designated with a lower sodium concentration and higher potassium